SRK formula is used to calculate
1. Power of intraocular lens
2. Corneal curvature
3. Corneal endothelial cell count
4. Extent of retinal detachment

Correct answer: 1. Power of intraocular lens

Explanation: Answer- A. Power of intraocular lensIntraocular lens power calculation :- Which requires Keratometry (K), Axial length of eyeball or Biometry (L) and aconstant (A). It is calculated by SRK formula:Power of IOL= A- 2.5L -0.9K